Incubation period depends on all except
1. Individual susceptibility
2. Infective dose
3. Portal of entry
4. Size of the infective organism

Correct answer: 4. Size of the infective organism